Paradoxical incontinence of urine in a primigravida is seen with the following condition:
1. Anteflexion of the uterus
2. Retroflexion of the uterus
3. Sacculation
4. Uterine prolapse

Correct answer: 2. Retroflexion of the uterus

Explanation: The growing normally retroflexed uterus will occasionally remain incarcerated in the hollow of the sacrum. Symptoms include abdominal discomfort, pelvic pressure, and voiding disorders. As pressure from the full bladder increases, small amounts of urine are passed involuntarily, but the bladder never empties entirely-so called paradoxical incontinence. Ref: Leveno K.J., Hauth J.C., Rouse D.J., Spong C.Y. (2010). Chapter 40. Reproductive Tract Abnormalities. In K.J. Leveno, J.C. Hauth, D.J. Rouse, C.Y. Spong (Eds), Williams Obstetrics, 23e.